All the following organs produce lactate as the end product of glycolysis in normal conditions except
1. Brain
2. Retina
3. Skin
4. Liver

Correct answer: 4. Liver

Explanation: Tissues that normally derive much of their energy from glycolysis and produce lactate include brain, gastrointestinal tract, renal medulla, retina, and skin. Lactate production is also increased in septic shock, and many cancers also produce lactate. The liver, kidneys, and heart normally take up lactate and oxidize it, but produce it under hypoxic conditions Reference: Harper; 30th edition; Page no: 172